Past contamination of water is indicated by –
1. Free and saline ammonia
2. Dissolved H2S
3. Nitrites
4. Nitrates

Correct answer: 4. Nitrates